In clinical practice to label remission in the case of ulcerative colitis, all the features are needed, EXCEPT:
1. Stool frequency <3 /day
2. No bleeding
3. No Urgency
4. Normal looking mucosa in endoscopy

Correct answer: 4. Normal looking mucosa in endoscopy

Explanation: In clinical practice, 'remission' mean a stool frequency <=3/day with no bleeding and no urgency. Sigmoidoscopy to confirm mucosal healing is generally unnecessary. Ref: Journal of Crohn's and Colitis (2012) 6, 965-990